True for linea aspera is
1. Medial lip gives attachment to vastus intermedius
2. Medial lip continues above as gluteal tuberosity
3. Medial lip gives attachment to adductor magnus
4. Lateral lip gives attachment to short head of biceps femoris

Correct answer: 4. Lateral lip gives attachment to short head of biceps femoris

Explanation: LINEA ASPERA:- Posterior border of femur is in the form of broad roughened ridge.In the upper one-third of shaft, two lips of linea aspera diverge to enclose an additional posterior surface.In the lower one-third of the shaft, two lips diverge as supracondylar lines to enclose popliteal surface. Medial lip-adductor longus Lateral lip-short head of biceps femoris. {Reference: BDC 6E pg no.17}